Man is the definitive host for -a) E. granulosusb) T. Soliumc) T. Saginatad) T. Cannise) E. Multilocularis
1. bc
2. c
3. ac
4. ad

Correct answer: 1. bc